Most common cause of hyperparathyroidism is -
1. Solitary adenoma
2. Chief cell hyperplasia
3. Multiple adenoma
4. Werner's syndrome

Correct answer: 1. Solitary adenoma